Microcephaly is seen in
1. Autistic disorder
2. Heller's disease
3. Rett's disease
4. Asperger's syndrome

Correct answer: 3. Rett's disease

Explanation: 3'M' s of Rett's disease :

Mahila (F > M).
Microcephaly.
MECP2.